Which of the following represents the embryological origin of Meckel's diverticulum?
1. Urogenital sinus
2. Allatoic diverticulum
3. Vitello intestinal duct
4. None of the above

Correct answer: 3. Vitello intestinal duct

Explanation: Meckel's diverticulum results from failure or incomplete obliteration of Vitello intestinal duct( omphalomesentric duct). It follows the rule of '2' : 2% prevalence, 2:1 female predominance, located 2 feet proximal to the ileocecal valve in adults, 50% of symptomatic individuals are less than 2 years. Reference: Schwatz's Principles of Surgery 9e chapter 28.